Which of the following is not true of caloric test?
1. Induction of nystagmus by thermal stimulation
2. Normally, cold water induces nystatmus to opposite side and warm water to same side
3. In canal paresis, the test is inconclusive
4. None

Correct answer: 3. In canal paresis, the test is inconclusive

Explanation: Nystagmus can be induced both by cold as well as thermal stimulationCold stimulation causes nystagmus towards opposite side while thermal stimulation causes Nystagmus towards same side. (COWS)In canal paresis either there is a reduced or absent response (causes of U/L canal paresis are-U/L vestibular Schwannoma or vestibular neuritis).B/L absence of caloric nystagmus is seen in case of amminoglycoside ototoxicity or postmeningitis